Which part of mind gives instinctual drives to a person to obtain immediate gratification according to structural model of mind?
1. Id
2. Ego
3. Super ego
4. Repressor

Correct answer: 1. Id

Explanation: Id works on "reality principle"
Id is about the innate, instinctual drives of a person that gives him immediate gratifaction such as hunger, anger & sex.